At what blood alcohol level, there is Nystagmus, marked slurring of speech and alcoholic blackouts?
1. 150mg/dL
2. 200 mg/dL
3. 250 mg/dL
4. 300 mg/dL

Correct answer: 2. 200 mg/dL

Explanation: (B) 200 mg/dLLevelLikely impairment20-30 mg/dLSlowed motor performance and decreased thinking ability30-80 mg/dLIncreases in motor and cognitive problems80-200 mg/dLIncreases in incoordination and judgment errsMobilityDeterioration in cognition200-300 mg/dLNystagmus, marked slurring of speech, and alcoholic blackouts> 300 mg/dLImpaired vital signs and possible deathPharmacologic toleranceApproximately 150 mg/dLOne does not show significant levels of impairment in motor and mental performanceIn that range, most people without tolerance also experience nausea and vomitingOne drinkIs likely to raise the blood alcohol level by approximately 15 to 20 mg/dL for an average70 kg person who has average amount of body fatThe same metabolized in an hour# DSM-IV-TR Diagnostic Criteria for Alcohol Intoxication> Recent ingestion of alcohol.> Clinically significant maladaptive behavioral or psychological changes (e.g., inappropriate sexual or aggressive behavior, mood lability, impaired judgment, impaired social or occupational functioning) that developed during, or shortly after, alcohol ingestion.> Signs, developing during, or shortly after, alcohol use: slurred speech incoordination unsteady gait nystagmus impairment in attention or memory stupor or coma> The symptoms are not due to a general medical condition and are not better accounted for by another mental disorder.# Blackouts> Alcohol-related blackouts are not included in DSM-IV-TR's diagnostic classification, although the symptom of alcohol intoxication is common. Blackouts are similar to episodes of transient global amnesia in that they are discrete episodes of anterograde amnesia that occur in association with alcohol intoxication.> The periods of amnesia can be particularly distressing when persons fear that they have unknowingly harmed someone or behaved imprudently while intoxicated.> During a blackout, persons have relatively intact remote memory but experience a specific short-term memory deficit in which they are unable to recall events that happened in the previous 5 or 10 minutes.> Because their other intellectual faculties are well preserved, they can perform complicated tasks and appear normal to casual observers.> The neurobiological mechanisms for alcoholic blackouts are now known at the molecular level; alcohol blocks the consolidation of new memories into old memories, a process that is thought to involve the hippocampus and related temporal lobe structures.